Long bone fixation done with:
1. Intramedullary Nail
2. Compression plate
3. External fixation
4. All of the above

Correct answer: 4. All of the above

Explanation: A i.e. Intramedullary nail; B i.e. Compression plate; C i.e. External fixator